The following statement is not true about the use of clonidine in the treatment of hypertension:
1. Reduction in central sympathetic outflow
2. Increase in LDL–cholesterol on prolonged use
3. Sedation and xerostomia are common side effects
4. It can be combined with vasodilators

Correct answer: 2. Increase in LDL–cholesterol on prolonged use